In a survey, many children are examined and were found to have urogenital abnormalities. Which congenital anomaly is associated with an increased risk of bladder carcinoma?
1. Medullary sponge kidney
2. Bladder exstrophy
3. Unilateral renal agenesis
4. Double ureter

Correct answer: 2. Bladder exstrophy

Explanation: Congenital anomalies associated with an increased risk of bladder cancer are:

patent urachus
exstrophy bladder

Both increase the risk for adenocarcinoma.